Brilliantly transilluminant swellings are all except ?
1. Hydrocele
2. Meningeocele
3. Lipoma
4. Cystic hygroma

Correct answer: 3. Lipoma

Explanation: Lipoma is a benign tumor which is also known as Universal tumor as it can occur anywhere in the body except brain. It is usually nontransilluminant, localised swelling, which is lobular and non tender. Reference : SRB's Manual ofSurgery,6th Edition, page no = 69.